True regarding agglutination reaction are all except:
1. It is less sensitive than precipitation reaction for detecting antibodies.
2. Works on the same principle as that of precipitation reaction
3. It is the method used for cross matching and blood grouping
4. Agglutination occurs optimally when antigens and antibody react in equivalent proportions.

Correct answer: 1. It is less sensitive than precipitation reaction for detecting antibodies.

Explanation: Ans. A: It is less sensitive than precipitation reaction for detecting antibodies Agglutination is a two-step reaction. Same principles governs agglutination and precipitation, but agglutination reaction is more sensitive than precipitation reaction for detecting antibodies. The primary reaction is the binding of the Fab portion of antibody to antigenic determinants on the particulate antigen. The secondary reaction is the result of the cross-linking by multivalent antibodies, of the particles of multivalent antigen to form aggregates. The foregoing two-component system can in certain instances be enhanced by the addition of a third component, complement (C'). This is exemplified by the reaction of immune hemolysis, in which the antibody "sensitizes" erythrocytes which are then lysed by complement. The most obvious clinical application of agglutination is blood-typing; erythrocyte blood group surface antigens (e.g., the ABO blood group factors) react with antibody that is specific for these allo-antigens to produce agglutination. The cross- matching of blood depends upon this technique. The surface antigens of bacteria also react with appropriate antibodies to produce agglutination. A patient's serum can be tested for the presence of antibody to known antigens of certain bacteria (e.g., Salmonella typhi), giving diagnostically significant information.